BCR - ABL hybrid gene is present in
1. Burkitt's lymphoma
2. Retinoblastoma
3. Breast carcinoma
4. CML

Correct answer: 4. CML

Explanation: (CML) (215-HM) (315, 697-98-R) (464-Basic pathology 8,h)BCR-ABL hybrid gene - ABL gene is a non GF receptor proto-oncogene having tyrosine kinase activity. ABL gene from its normal location on chromosome 9 is translocated to chromosome 22. Where it fuses with BCR (breakpoint cluster region) gene and forms an ABL, BCR hybrid gene which is more potent in signal transduction pathway ABL-BCR hybrid gene is seen in CML and some acute lymphocytic leukaemias* n MYC-HSR - neuroblastoma* ERB-B in breast and ovarian cancersImportant oncogenes, their-mechanism of Activation and Associated Human Tumours (216-HM)TypeONCOGENEAssociated human tumours1. Growth factors (GFs)(i) PDGFGlioblastoma (ii) TGF-aSarcoma (iii) FGFCa-bowel, breast2. Receptors for GFs(i) ERB-B,Squamous cell Ca (ii) HER2 (a ERB2)Ca breast, Ovary, stomach, lungs3. Signal transduction proteins(i) RASCommon in 1/3 human tumours Ca lung, colon, pancreas, (ii) *BCR-ABLCML, Acute leukaemia4. Nuclear regulatoryMYC (Translocated)Burkitt's lymphoma(Transcription proteins)MYC (Amplified)Ca-lung, breast, colon5. Cell cycle regulatory proteinsCyclin DCa breast, liver, mantle cell lymphoma CDK4Glioblastoma, melanoma, sarcoma* * RB gene - Retinoblastoma, osteosarcoma* * BRCA 1 and 2 - Ca breast, ovary